The cochlear nuclei belong to which type of nuclei?
1. General visceral afferent
2. General somatic afferent
3. Special somatic afferent
4. Special visceral afferent

Correct answer: 3. Special somatic afferent

Explanation: The special somatic afferent nuclei are the cochlear and vestibular nuclei.The SSA fibres carry special sensations of hearing and equilibrium to the nuclei of special somatic afferent column.The cochlear nuclei(dorsal and ventral) are placed dorsal and ventral to the Inferior cerebellar peduncle, in the upper part of medulla.(Ref: Vishram Singh textbook of clinical neuroanatomy second edition pg 92,96)